Which of the following drugs does not cross blood placental barrier?
1. Atropine
2. Glycopyrrolate
3. Physostigmime
4. Hyoscine hydro bromide

Correct answer: 2. Glycopyrrolate

Explanation: Ans. (B) Glycopyrrolate(Ref: KDT 8th/e p124)Glycopyrrolate is a quarternary ammonium compounds and is thus water soluble and unable to penetrate BBB.